Haemoglobin electrophoresis can detect all except?
1. Beta thalassemia intermedia
2. Alpha thalassemia trait
3. Sickle cell disease
4. Hb E disease

Correct answer: 2. Alpha thalassemia trait

Explanation: Hb-electrophoresis can estimate the level of the HbA2 and HbF fractions. In hemoglobin H disease 20-40% of total hemoglobin is of Hemoglobin Barts. In silent carrier alpha thalassemia, percentage is only 1-2% with low or normal amounts of Hb. Hb electrophoresis is generally not sufficiently sensitive to diagnose silent carrier alpha thalassemia. Genetic testing is used to establish the diagnosis in patients with a suggestive family history and/or hematologic findings suggestive of alpha thalassemia. Recombinant DNA technology can be diagnostic but is still a research tool. Gene mapping Polymerase chain reaction (PCR) Restriction endonucleases Anti-L globin monoclonal antibodies